Which of the following is the most common renal vascular anomaly?
1. Supernumerary renal arteries
2. Supernumerary renal veins
3. Double Renal arterires
4. Double Renal veins

Correct answer: 1. Supernumerary renal arteries

Explanation: The incidence of renovascular anomaly is as high as 40% of population. The most common variety is, 2-5 small renal arteries to the kidneys (supernumerary renal arteries). Ref: The Surgical Review: An Integrated Basic and Clinical Science Study Guide By Paige M. Porret, 3rd Edition